Third nerve palsy with pupillary sparing is seen in-a) Hypertensionb) Aneurysm of posterior communicating arteryc) Diabetes mellitusd) Craniopharyngioma
1. a
2. bc
3. ad
4. ac

Correct answer: 4. ac